A 22yrs old male suffer from decreased sleep, increased sexual activity, excitement and spending excessive money for 8 days. The diagnosis is
1. Confusion
2. Mania
3. Hyperactivity
4. Loss of memory

Correct answer: 2. Mania

Explanation: Symptomatic profile of the patient suggests the diagnosis, Characteristic Feature of Mania: Elation of Mood Delusion of Grandeur Increased psychomotor activity (usually goal oriented) Speech and thought: More talkative Pressure of speech, use playful language Flight of ideas Reduced sleep Over activity and poor judgment - this person is involved in high risk activities like buying sprees, reckless driving, foolish business investments, distributing money or articles of unknown persons.